Amsler sign -
1. Fuch heterochromatic iridocyclitis
2. Posner-schlossman syndrome
3. Uveal-effusion syndrome
4. None of the above

Correct answer: 1. Fuch heterochromatic iridocyclitis

Explanation: (Ref: Yanoff & Ducker 3rd/e p.865) During paracentesis in Fuch's heterochromic iridocyclitis, there is bleeding from neo-vasculorizarion. This is known as "Amsler's sign".